Commonest ovarian tumour associated with pregnancy is :
1. Mucinous cystadenoma
2. Teratoma (Dermoid cyst)
3. Brenner's tumour
4. Fibroma

Correct answer: 2. Teratoma (Dermoid cyst)

Explanation: Teratoma (Dermoid cyst)